Which of the following is known as an independent bone in the nasal cavity?
1. Superior turbinate
2. Inferior turbinate
3. Middle turbinate
4. All of the above

Correct answer: 2. Inferior turbinate

Explanation: The inferior turbinate is an independent bone situated in the lateral wall of the nasal cavity with three major reliefs. It has a lacrimal process which closes the nasolacrimal duct by articulation with the descending process of the lacrimal bone. The maxillary process attaches to the maxilla in the inferior part of the maxillary ostium and with conchal crest of the palatine bone. The ethmoid process articulates with inferior end of the uncinate process.